Toxicity of amphotericin B can be reduced by the following
1. Injecting the drug along with dextrose
2. It's combination with fluconazole
3. Incorporating it in the liposomal complex
4. All of the above

Correct answer: 3. Incorporating it in the liposomal complex